Which of the following is not consistent with problem village:
1. Source of safe water more than 1.6 km away
2. Availability of safe water at a depth of more than 1.5 meters
3. Source of water containing high salinity and fluorides
4. None

Correct answer: 2. Availability of safe water at a depth of more than 1.5 meters

Explanation: Ans. B ie.: Availability of safe water at a depth of more than 1.5 meters; Problem village include availability of safe water at a depth of more than 15 meters.